Which of the following is secondary lesion?
1. Papule
2. Bulla
3. Scale
4. Macule

Correct answer: 3. Scale

Explanation: Skin Lesion Primary Special Depending on size <0.5cm >0.5cm Comedones-Acne <1cm >1cm Wheals- Urticaria(are transient hives). Flat Macule Patch Burrows-scabies Solid raised Papule Plaque - if horizontal diameter more Nodule - if vertical diameter more Fluid filled Vesicle Bullae Pus filled Pustule Abscess D/t extravasation of blood Petechiae Purpura Ecchymosis i.e. >1cm Secondary lesions are lesions which develop over primary lesions. Eg. Scales. A flat plate or flake of stratum corneum. Types collarette - fine, peripherally attached and centrally detached scale at the edge of an inflammatory lesion Furfuraceous or pityriasiform - fine and loose. Ichthyotic - large and polygonal.